DLCO decreased in all,EXCEPT
1. Anemia
2. Interstitial lung diseases
3. Good Pasteur syndrome
4. Emphysema

Correct answer: 3. Good Pasteur syndrome

Explanation: In alveolar hemorrhage (good Pasteur syndrome) DLCO increased.